In which of the following, Apple jelly nodules are seen
1. Acne vulgaris
2. Lupus vulgaris
3. Chancre
4. Scrofuloderma

Correct answer: 2. Lupus vulgaris

Explanation: CUTANEOUS TUBERCULOSIS Ref:- Sima Jain; pg num:-221